Which of the following is the accepted safe level of flouride in drinking water ?
1. 0.5 - 0.8 ppm
2. 1.5 - 3 ppm
3. 76 ppm
4. None

Correct answer: 1. 0.5 - 0.8 ppm

Explanation: The accepted safe level of fluoride in drinking water is 0.5 - 0.8 ppm. Deficiency of fluorine in drinking water is associated with dental caries and excess with dental and skeletal fluorosis.